The bud, cap and bell stage of the developing tooth are based on growth of the:
1. Stellate reticulum
2. Dental papilla
3. Enamel organ
4. Dental sac

Correct answer: 3. Enamel organ

Explanation: The bud, cap and bell stage are named after the shape of enamel organ (epithelial part of tooth germ).